A male 45 years old wants his missing teeth to be replaced. Intraoral examination reveals Kennedy class 4 edentulous  maxillary arch. Impression is made using laminate technique.
The disadvantages of this technique are all except:
1. The bond between the two is not always sound
2. The higher viscosity of one displaces the other hydrocolloid during seating
3. The dimensional inaccuracy of the hydrocolloid limits its use to single units
4. Only the syringe material needs to be heated for this technique

Correct answer: 4. Only the syringe material needs to be heated for this technique

Explanation: LAMINATE TECHNIQUE (ALGINATE-AGAR METHOD)
A modification of the traditional agar procedure is the combined agar-alginate technique. The agar in the tray is replaced with a mix of chilled alginate that bonds to the agar expressed from a syringe.  The alginate gels by a chemical reaction, whereas the agar gels by means of contact with the cool alginate rather than with the water circulating through the tray. Since it is the agar, not the alginate, that contacts the prepared teeth, maximal detail is reproduced. Because only the syringe material needs to be heated, equipment cost is lower and less preparation time is required. 
The main disadvantages of this technique are as follows:

The bond between the agar and the alginate is not always sound.
The higher viscosity of the alginate material displaces the agar hydrocolloid during seating.
The dimensional inaccuracy of the alginate hydrocolloid limits its use to single units.

Reference: Phillips’ science of dental materials / Kenneth J. Anusavice, Chiayi Shen, H. Ralph Rawls.—12th ed. Page no 176